HT indicated in menopausal women
1. Hot flash
2. Ca breast
3. Endometriosis
4. Uterine bleeding

Correct answer: 1. Hot flash

Explanation: * Hormone Therapy (HT) is one of the government-approved treatments for relief of menopausal symptoms. * These symptoms, caused by lower levels of estrogen at menopause, include : * Hot flashes, * Sleep disturbances, and * Vaginal dryness. * HT is also approved for the prevention of osteoporosis REF : SHAW BOOK OF GYNECOLOGY